All are involved in MEN type II A except
1. Parathyroid
2. Adrenal
3. Thyroid
4. Pituitary

Correct answer: 4. Pituitary